Torus mandibularis is usually present:
1. Above the mylohyoid line.
2. Below the mylohyoid line.
3. Molar region.
4. Anterior to mental foramen.

Correct answer: 1. Above the mylohyoid line.

Explanation: Torus mandibularis is commonly seen on the lingual surface of mandible opposite to the premolar teeth. It is usually present above the mylohyoid line.